True statement about gallstones are all except
1. Lithogenic bile is required for stone formation
2. May be associated with carcinoma gallbladder
3. Associated with diabetic mellitus
4. More common in males between 30-40 years of age

Correct answer: 4. More common in males between 30-40 years of age

Explanation: Factors that may increase your risk of gallstones include: Being female Being age 40 or older Being overweight or obese Being sedentary Being pregnant Eating a high-fat diet Eating a high-cholesterol diet Eating a low-fiber diet Having a family history of gallstones Having diabetes Losing weight very quickly Taking medications that contain estrogen, such as oral contraceptives or hormone therapy drugs Having liver disease Ref: Internet sources